All of the following statements are true about 6 mercapto purine except
1. It is metabolized by xanthine oxidase
2. It does not cause hyperuricemia
3. Its dose should be reduced when allopurinol is given concurrently
4. It is an active metabolite of azathioprine

Correct answer: 2. It does not cause hyperuricemia

Explanation: Ref-KDT 6/e p823,824 All anticancer drugs can result in hyperuricemia by causing the detruction of excess cells. Azathioprine is an inmunosuppressant drug that acts by generating 6-MP 6-MP is metabolized by xanthine oxidase. Its dose should be reduced when allopurinol is given concurrently.